Call exner bodies" are seen in :
1. Dysgerminoma
2. Theca cell tumour
3. Granulosa cell tumour
4. Polyembryoma

Correct answer: 3. Granulosa cell tumour

Explanation: Ans. is c i.e. Granulosa cell tumour Call exner bodies are small cyst like spaces found in cases of granulosa cell tumour. Feature Associated tumour Call exner bodies -Granulosa cell tumour Schiller duval bodies - Endodermal sinus tumor Reinke's crystal - Hilus cell tumour Psammoma bodies - Serous epithelial tumours Walthard cell nest - Brenner's tumour Signet ring cell - Krukenberg tumour